The laboratory evidence of flare in SLE is:
1. Increase in titre of anti-dsDNA
2. Increase in titre of ANA
3. Increase in anti-Sm
4. Elevation of ESR

Correct answer: 1. Increase in titre of anti-dsDNA

Explanation: SLE FLARE: LAB RESULTS Increases in quantities of anti-dsDNA herald a flare, particularly of nephritis or vasculitis It may be associated with declining levels of C3 or C4 complement. Antibodies to Sm is specific for SLE and assist in diagnosis; anti-Sm antibodies do not correlate with disease activity or clinical manifestations. Ref: Harrison, E-18, P-2735